In a patient with ischaemic stroke, intravenous recombinant tissue plasminogenactivator has mainly been found to be useful during the initial -
1. 3 hours
2. 6 hours
3. 12 hours
4. 24 hours

Correct answer: 1. 3 hours